Structures passing through Calot's triangle are all EXCEPT:
1. Portal vein
2. Cystic artery
3. Right hepatic artery
4. Lymph node of Lund

Correct answer: 1. Portal vein

Explanation: Portal vein REF: Gray's anatomy 39th edition page 1229THE HEPATOBILIARY TRIANGLE OR CYSTOHEPATIC TRIANGLE OR CALOT'S TRIANGLE:Boundaries:Common hepatic duct mediallyCystic duct inferiorlyInferior surface of liver superiorly Contents:Cystic arteryRight hepatic arteryLymph node of Lund